According to Scammon’s growth curves, which of the following tissues has a growth increase that can be used to help predict timing of the adolescent growth spurt?
1. Neural tissues
2. Lymphoid tissues
3. Reproductive tissues
4. None of the above

Correct answer: 3. Reproductive tissues

Explanation: Reproductive tissues grow at the same time as the adolescent growth spurt, and the appearance of secondary sexual characteristics can be used to help predict the timing of growth.